Rapid infusion of insulin cause:
1. Hyperkalemia
2. Hypokalemia
3. Hypernatremia
4. Hyponatremia

Correct answer: 2. Hypokalemia

Explanation: Ans. (b) Hypokalemia(Ref: Ganong, 25th ed/p.432)Insulin causes potassium ions to enter into the cell. This action decreases extracellular potassium levels (hypokalemia)